While performing subjective verification of refraction, the cross cylinder is used to check:
1. Axis of the cylinder to be prescribed
2. Power of the cylinder to be prescribed
3. Both of the above
4. None of the above

Correct answer: 3. Both of the above

Explanation: Ans. Both of the above